The presence of small sized platelets on the peripheral smear is characteristic of :
1. Idiopathic thrombocytopenic purpura.
2. Bernard Soulier syndrome
3. Disseminated intravascular coagulation
4. Wiskott Aldrich syndrome

Correct answer: 4. Wiskott Aldrich syndrome

Explanation: . Wiskott Aldrich syndrome